A drug is to be delivered by a nebulizer. The size of a droplet for its humidification is:
1. <5 u
2. 10-May
3. 15-Oct
4. 15-20

Correct answer: 1. <5 u

Explanation: Because of their settling velocities in air, particles >10-15 mm in diameter do not penetrate beyond the nose and throat. Particles <10 mm in size are deposited below the larynx. These particles are divided into three size fractions on the basis of their size characteristics and sources. Particles ~2.5-10 mm (coarse-mode fraction) contain crustal elements such as silica, aluminum, and iron. These particles mostly deposit relatively high in the tracheobronchial tree. Ref Harrison 19th edition pg 1688